Black line in the gingiva that follows the contour of the margin is due to:
1. Bismuth
2. Arsenic
3. Mercury
4. All of the above

Correct answer: 4. All of the above

Explanation: Black line in the gingiva that follow the contour of the margin is due to Bismuth, Arsenic and Mercury.